Chemoprophylaxis can be done for the following except-
1. Meningitis
2. Typhoid
3. Cholera
4. Diphtheria

Correct answer: 2. Typhoid

Explanation: Chemoprophylaxis implies the protection from or prevention of disease. This may be achieved by causal prophylaxis of a disease or by clinical prophylaxis. 1)causal prophylaxis implies the complete prevention of infection by the early elimination of the invading or migrating causal factor 2)clinical prophylaxis implies the prevention of clinical symptoms Indications for chemoprophylaxis: Cholera,bacterial conjunctivitis,diphtheria,influenza,malaria,meningococcal meningitis,plague Ref: 25th edition, Park's Textbook of Preventive and Social Medicine, Page no. 137